ALL L3 morophology is a malignancy arising from which cell lineage
1. Mature B cell
2. Precursor B cell
3. Immature T cell
4. Mixed B cell & T cell

Correct answer: 1. Mature B cell

Explanation: ALL L3 is arising from mature B cells.Only 1-2% patients with ALL show L3 morphology in which cells are large,have deep cytoplasmic basophilia and prominent vacuolation.These cells show surface immunoglobulin and should be treated as Burkitt lymphoma. Reference:Essential pediatrics-Ghai,8th edition,page no:600.